All are true about estrogen EXCEPT:
1. Causes cholestasis
2. Used in treatment of gynecomastia
3. Used in HRT
4. Increased risk of breast cancer

Correct answer: 2. Used in treatment of gynecomastia

Explanation: ANSWER: (B) Used in treatment of gynecomastiaREF: Harrison's 18th ed chapter 346, KDT 3d1 edition page 276Estrogen receptor antagonists are used in the treatment of gynecomastia not estrogenAdverse effects of Estrogen:Suppression of libido and gynecomastiaFusion of epiphysesEndometrial carcinomaIncreased incidence of breast cancerIncreased incidence of cholestasis and gall stonesIncreased chances of thromboembolism